Reverse transcription involves
1. RNA dependent DNA synthesis
2. DNA dependent RNA synthesis
3. DNA dependent DNA synthesis
4. RNA dependent RNA synthesis

Correct answer: 1. RNA dependent DNA synthesis

Explanation: Generally, the genes are made up of DNA . Usually , DNA dependent RNA polymerase transfers the information of DNA to mRNA . But Retrovirus group , RNA acts as a template Based on this RNA , the enzyme , RNA dependent DNA polymerase or reverse transcriptase will make a new DNA strand. Reference : DM.VASUDEVAN.TEXTBOOK SEVENTH EDITION ; PAGE NO : 593.